Atropine when used as a pre–medication causes all of the following symptoms except:
1. Skin flush
2. Bronchoconstriction
3. Prevents bradycardia
4. Dryness of mouth

Correct answer: 2. Bronchoconstriction